Zonular cataract
1. Riders not seen
2. Developmental cataract
3. Acquired cataract
4. After complication

Correct answer: 2. Developmental cataract

Explanation: i.e. (Developmental cataract): (265-Parson 21st) (172-Khurana 4th)ZONULAR OR LAMELLAR CATARACT - refers to the developmental cataract in which the opacity occupies a discrete zone in the lensMost common types of congenital cataract presenting with visual impaiment*** Usually bilateral* Lineal opacities like spikes of a wheel (called riders) may run outwards towards the equator- Other most common types of developmental cataract- Punctate cataract- Fusiform cataract- Nuclear cataract- Coronary cataract- Anterior capsular (polar) cataract- Posterior capsular (polar) cataract